The major causative agents of "Cutaneous" larva migrans are:
1. Ancylostoma braziliense
2. B. malayi
3. Loa Loa
4. W bancrofti

Correct answer: 1. Ancylostoma braziliense

Explanation: Ancylostoma braziliense